"Maldon Teeth" is due to -
1. Lead
2. Fluoride
3. Calcium
4. Phosphorus

Correct answer: 2. Fluoride

Explanation: Dental fluorosis : Fluorosis of dental enamel occurs when excess fluoride is ingested during the years of tooth calcification - essentially during the first 7 years of life .It is characterized by "mottling" of dental enamel, which has been reported at levels above 1.5 mg/L intake. Also known as Maldon teeth. The teeth lose their shiny appearance and chalk- white patches develop on them. This is the early sign of dental fluorosis. Later the white patches become yellow and sometimes brown or black. In severe cases, loss of enamel gives the teeth a corroded appearance. Mottling is best seen on the incisors of the upper jaw. It is almost entirely confined to the permanent teeth and develops only during the period of formation Ref: Park 25th edition Pgno : 682